Half-life of basiliximab is:-
1. 7 days
2. 7 hours
3. 15 days
4. 24 hours

Correct answer: 1. 7 days

Explanation: Half life of basiliximab is 7 days.Basiliximab* This is anti CD-25 antibody with higher affinity for the IL-2 receptor, but shorter plasma t 1/2 (1 week).* It is used to prevent renal and other transplant rejection reaction.* It can cause anaphylactic reactions and promote opportunistic infection.